Carcinoma lung responding best to chemotherapy?
1. Squamous cell type
2. Oat cell type
3. Adenocarcinoma
4. Allrespond equally

Correct answer: 2. Oat cell type

Explanation: Answer is B (Oat cell carcinoma): Oat cell carcinoma is the other name for small cell carcinoma. Small cells carcinoma respond best to chemotherapy, and they are managed primarily by chemotherapy with or without Radiotherapy. Non small cell carcinomas do not respond as well to chemotherapy as small cell cancers-Harrisons Small Cell Lung cancer (SCLC) is a chemotherapy sensitive disease-H 1 7th/561 Property Small cell carcinoma Non small cell carcinoma Also called oat cell carcinoma * Squamous cell carcinoma * Adenocarcinoma * Large cell carcinoma * Bronchoalveolar carcinoma Response to Superior Response Inferior Response Chemotherapy Overall Regression rate is 90% Overall Regression rate is 40 to 60% Rate of complete regression is 30% Rate of complete regression 5% Response to Superior Response Inferior Response Radiotherapy Objective Shrinkage in 80-90% Objective shrinkage in 30-50% Complete response: Often Complete response: Uncommon Primary management Managed primarily with Chemotherapy with or without Radiotherapy Management primarily with Surgery or Radiotherapy (localized lesions)